False about Marbel bone disease
1. Associated with Type II Renal Tubular Acidosis
2. Pancytopenia
3. Mandible osteomyelitis
4. Treated with bone marrow transplantation

Correct answer: 1. Associated with Type II Renal Tubular Acidosis

Explanation: Osteopetrosis / Marbel bone disease is associated with Type IRTA